Human development index includes A/E:
1. Crude death rate
2. Education
3. Life expectancy at birth
4. GDP

Correct answer: 1. Crude death rate

Explanation: Human Development Index (HDI) is defined as a composite index combining indicators representing three dimensions: 1)Longevity (life expectancy at birth) 2)Knowledge (adult literacy rate and mean years of schooling) 3)Income (real GDP per capita in purchasing power parity in US dollars). The HDI values ranges between 0 to1. The HDI value for a country shows the distance that it has already travelled towards maximum possible value to 1 and also allows comparison with other countries. Ref : Park's Textbook of Preventive and Social Medicine; 18th edition; Page-16